Which among the following is the commonest twin presentation?
1. Vertex-brow
2. Vertex-face
3. Vertex-breech
4. Cephalic-cephalic

Correct answer: 4. Cephalic-cephalic

Explanation: The most common presentations at admission for delivery are cephalic-cephalic, cephalic-breech, and cephalic- transverse. Compound, face, brow, and footling breech presentations are relatively common, especially if fetuses are small, amniotic fluid is excessive, or maternal parity is high. The presentation can often be ascertained by sonography. Ref: Cunningham F.G., Leveno K.J., Bloom S.L., Hauth J.C., Rouse D.J., Spong C.Y. (2010). Chapter 39. Multifetal Gestation. In F.G. Cunningham, K.J. Leveno, S.L. Bloom, J.C. Hauth, D.J. Rouse, C.Y. Spong (Eds), Williams Obstetrics, 23e.